Post zone phenomenon is due to
1. Antigen excess
2. Antibody excess
3. Haptens
4. Equal Antigen & Antibody

Correct answer: 1. Antigen excess

Explanation: Prozone - Antibodies are excess.
Postzone - Antigen excess.